The best predictor of ovulation is :
1. Estrogen peak
2. Follicle stimulating hormone (FSH) surge
3. Onset of the LH surge
4. Preovulatory rise in progesterone

Correct answer: 3. Onset of the LH surge

Explanation: Onset of the LH surge